All are true about true about syncope except:
1. Consciousness is lost
2. More common in standing than lying postion
3. Vasovagal type is common
4. Return of consciousness is slow & take hours

Correct answer: 4. Return of consciousness is slow & take hours

Explanation: Ans: D (Return...) "A syncopal attack begins when the patient is usually in an upright position(sitting or standing).Period of unconsciousness is brief(seconds). Return of consciousness is promptu-Emergency Medicine by S.N.Chugh 4th/242-43Vasomotor syncope: May be due to excessive vagal tone or impaired reflex control of the peripheral circulation. The most frequent type of vasodepressor syncope is vaso vagal hypotension or the common faint, which is often initiated by a stressful, painful or claustrophic experience, especially in young women" - CMDT 06/384SYNCOPESyncope is a transient, self-limited loss of consciousness due to acute global impairment of cerebral blood flow. The onset is rapid, duration brief, and recovery spontaneous and complete.A syncopal prodrome (presyncope) is common, although loss of consciousness may occur without any warning symptoms. Typical presyncopal symptoms include dizziness, lightheadedness or faintness, weakness, fatigue, and visual and auditory disturbances.The causes of syncope can be divided into three general categories: (1) neurally mediated syncope (also called reflex syncope), (2) orthostatic hypotension, and (3) cardiac svncope.Neurally mediated syncope comprises a heterogeneous group of functional disorders that are characterized by a transient change in the reflexes responsible for maintaining cardiovascular homeostasis. Episodic vasodi/at/on and bradycardia occur in varying combinations; resulting in temporary failure of blood pressure control.The upright posture imposes a unique physiologic stress upon humans; most, although not all, syncopal episodes occur from a standing position. Standing results in pooling of 500-1000 mL of blood in the lower extremities and splanchnic circulation. There is a decrease in venous return to the heart and reduced ventricular filling that result in diminished cardiac output and blood pressure.